A patient with Myeloproliferative syndrome presents with decreased while cell count and decreased platelets. The most likely diagnosis is:
1. Chronic myeloid leukemia
2. Myelofibrosis
3. Polycythemias vera
4. Essential thrombocytosis

Correct answer: 2. Myelofibrosis

Explanation: Answer is B (Myelofibrosis) Myelofibrosis may be associated with decreased white cell count and decreased platlet counts. Myelofibrosis is an established cause for panyctopenia with cellular marrow. Condition WBCount Hematocrit/ Red cell mass Platelet count Red cell morphology Splenomegaly Philadelphia chromosome CML || N N or | N Massive Present Myelofibrosis N or | or | N or | | or N or | Abnormal Massive Absent Polycythemia N or |' | N or | N Moderate (Massive in late stages) Absent Essential Thrombocytosis N or | N || N Mild Absent